A 40 year old female patient complains of swelling on both the legs. Patient is pregnant (3rd trimester). Which of the following statements about the type of thrombosis that is most likely to be present in this patient is true?
1. Pale platelet layer alternating with dark red cell layer present
2. Incomplete lumen occlusion present
3. Grows in antegrade manner
4. It causes ischemia and infarction of organs

Correct answer: 3. Grows in antegrade manner